Which of the following is relatively difficult tooth
to extract
1. Maxillary canine
2. Maxillary central incisor
3. Mandibular premolar
4. Mandibular canine

Correct answer: 1. Maxillary canine